Which component of systemic arterial BP undergo much less fluctuations
1. Systolic BP
2. Diastolic BP
3. Mean BP
4. Pulse pressure

Correct answer: 2. Diastolic BP

Explanation: It is the minimum pressure exerted during diastole It is the measure of total peripheral resistance It undergoes much less fluctuations Ref: page no 350 Textbook of physiology Volume 1 AK Jain 7th edition